Mauriac's syndrome is characterized by all except
1. Diabetes
2. Obesity
3. Dwarfism
4. Cardiomegaly

Correct answer: 4. Cardiomegaly

Explanation: Ans. is 'd' i.e., Cardiomegaly Mauriac Sydrome Children with poorly controlled type I diabetes may develop Mauriac syndrome. It is characterized by : - Growth attenuation Delayed puberty Hepatomegaly Abnormal glycogen storage and steatosis Cushingoid features Rare in modern era of insuling therapy but is occasionlly reported.